RNA participates directly in all of the following except:
1. Post translational modification
2. Post transcriptional modification
3. DNA replication
4. Splicing

Correct answer: 1. Post translational modification

Explanation: POST TRANSLATIONAL MODIFICATIONS OF PROTEINS
The proteins synthesized in translation are, as such, not functional. Many changes take place in the polypeptides after the initiation of their synthesis or, most frequently, after  the protein synthesis is completed. These modifications include protein folding, trimming by proteolytic degradation, intein splicing and covalent changes which are collectively known as modifications.